Muscles taking origin from ischial tuberosity are all except :
1. Adductor longus
2. Semimembranosus
3. Semitendinosus
4. Adductor magnus

Correct answer: 1. Adductor longus

Explanation: Other attachments on the ischial tuberosity are:Long head of biceps femorisSacrotuberous ligamentIschiofemoral ligamentAdductor longus arises from the body of pubis